Cobblestone appearance of conjunctiva is typically seen with:
1. Phlyctenular conjunctivitis
2. Foreign body
3. Spring catarrh
4. Trachoma

Correct answer: 3. Spring catarrh

Explanation: C i.e. Spring catarrh